HbA2 levels are increased in all Except:
1. Alpha Thalassemia
2. Beta Thalassemia
3. Sickle cell anemia
4. Megaloblastic Anemia

Correct answer: 1. Alpha Thalassemia

Explanation: Answer is A (Alpha Thalassemia) Alpha Thalassemia are associated with reduced levels of HbA2 Causes of Increased HbA2 levels Beta thalassemia Sickle cell anemia Megaloblastic anemia Hyperthyroidism Unstable Hemoglobinopathies Malaria (doubtful! cases) Causes of Decreased HbA2 levels Iron deficiency Anemia Alpha thalassemia Delta thalassemia Sideroblastic anemia Myelodysplastic syndromes Acute myelocytic leukemia (minor reduction) lib Lepore